Juvenile idiopathic arthritis includes all the following categories EXCEPT:
1. Psoriatic arthritis
2. Enthesitis related arthritis
3. Systemic arthritis
4. Reactive arthritis

Correct answer: 4. Reactive arthritis

Explanation: Juvenile Idiopathic Arthritis includes : Systemic JIA- Systemic involvement seen Oligoarticular- Affects four or fewer joints, often the knee or ankle. Polyarticular arthritis, rheumatoid factor negative Polyarticular arthritis, rheumatoid factor positive Psoriatic arthritis Enthesitis-related arthritis Undifferentiated arthritis